Not a family of selectin
1. P selectin
2. L selectin
3. A selectin
4. E selectin

Correct answer: 3. A selectin